Radial bursa is the synovial sheath covering the tendon of
1. Flexor digitorum superficialis
2. Flexor digitorum profundus
3. Flexor Pollicis Longus
4. Flexor carpi radialis

Correct answer: 3. Flexor Pollicis Longus

Explanation: The radial Bursa is a collection of synovial fluid around the Tendon of the Flexor Pollicis Longus muscle, the primary flexor of the thumb ulnar bursa is a synovial sheath in the carpal tunnel of the human hand. It contains tendons of the flexor digitorum an and the flexor digitorum profundus